True regarding follicular carcinoma of thyroid:
1. Hematogenous spread
2. Commonly multifocal
3. Readily diagnosed by FNAC
4. Most common carcinoma of thyroid

Correct answer: 1. Hematogenous spread

Explanation: Ans. (a) Hematogenous spreadRef: Schwartz 10th edition Page 1542-46* Follicular Carcinoma is usually Unifocal and Capsulated* MC carcinoma of thyroid is Papillary.